Which of the following is not a sphincter in the female urogenital tract -
1. Pubovaginalis
2. External urethral sphincter
3. Internal urethral sphincter
4. Bulbospongiosus

Correct answer: 3. Internal urethral sphincter

Explanation: Urogenital sphincters in Females
-        Vaginal sphincters

Bulbospongiosus
Sphincter urethrovaginalis
External urethral sphincter
Pubovaginalis

-        Urinary sphincters

Compressor urethrae
External urethral sphincter
Sphincter urethrovaginalis
Pubourethralis